Cartilage of which of the following pharyngeal arch is known as Reichert's cartilage?
1. First arch
2. Second arch
3. Third arch
4. None of the above

Correct answer: 2. Second arch

Explanation: The cartilage of the second or hyoid arch (Reichert's cartilage) gives rise to the stapes, styloid process of the temporal bone, stylohyoid ligament, and ventrally, the lesser horn and upper part of the body of the hyoid bone Ref: Langman's embryology 11th edition Chapter 16.